A patient of renal failure has been diagnosed with cholera, so which of the tetracyclines is most suitable for the patient:
1. Minocycline.
2. Doxycycline.
3. Oxytetracycline.
4. All of the above.

Correct answer: 2. Doxycycline.

Explanation: All tetracyclines are excreted primarily in the urine except doxycycline. Doxycycline is excreted in the faeces and thus can be used in the presence of renal failure.